Neonatal complications of the fetus in a diabetic include all the following except :
1. Hypoglycemia
2. Polycythemia
3. Hypocalcemia
4. Omphalitis

Correct answer: 4. Omphalitis

Explanation: Omphalitis